Smokeless gun powder is composed of ?
1. KMnO4
2. HCN
3. Nitrocellulose
4. Sulphur

Correct answer: 3. Nitrocellulose

Explanation: Ans. is 'c' i.e., Nitrocellulose Smoke producing powder :- Black powder (black gun powder), Pyrodex. Smokeless powder :- Black powder plus nitrocellulose/nitrocellulose + nitroglycerine/nitroglycerine + nitrocellulose nitroguanidine. Semismokeless powder :- 80% black powder plus 20% smokeless powder.